Maximum radiation dose tolerable tissue is -
1. Hemopoietic tissue
2. Testis
3. Ovary
4. Bone

Correct answer: 4. Bone

Explanation: Ans. is 'd'i.e., BoneRadio sensitivity of tissuesHighly radiosensitiveModerately radiosensitiveLeast radiosensitive (radioresistant)o Lymphoid tissue o Bone marrowo GIT epithelium o Gonads (Testis, ovary)o Embryonic tissueo Skin o Vascular endotheliumo Stomach, Small intestine, colon. Rectum o Lungo Kidney o Livero Lens (eye)o CNS o Muscleo Pancreas o Bone & cartilageo Connective tissue o Vagina & Uteruso Radiation sensitivity of some human tissues (in discending order)Embryo (most sensitive) > Fetus, lymphatic & hemopoietic organs (lymphocytes > RBCs > platelets) > Bone marrow > intestinal tract > ovaries (ovum) > Testis (sperm cells) > capillaries (vascular endothelium > Mucous membrane & salivary glands > Hair follicles > Bone growth zone (epiphysis) > Breasts > Eye lens > Sweat and sebaceous glands > Epidermis > thyroid > liver and kidneys > Adult bones > Cartilage > Lungs and serous membranes > Vagina > CNS (Brain & spinal cord)> Peripheral nerve > Muscle.